The organism most commonly causing genital filariasis in most part of Bihar and eastern U.P. is-
1. Wuchereria bancrofti
2. Brugia malayi
3. Onchocerca volvulus
4. Dirofilaria

Correct answer: 1. Wuchereria bancrofti

Explanation: The nocturnal periodic strains of Wuchereria bancrofti is most wide spread in India.
Mainly along seacoast and riverbanks.
Heavily infected areas – Uttar Pradesh, Bihar, Andhra Pradesh, Orissa, Tamil Nadu, Kerala and Gujarat